A pregnant lady with persistent variable decelerations with cervical dilatation of 6 cm is planned for emergency LSCS. Which of the following is NOT done in management while preparing patient for surgery
1. Supine position
2. O2 inhalation
3. I.V. fluid
4. Foleys catheterisation

Correct answer: 1. Supine position

Explanation: Variable decelerations are attributed to umbilical cord compression A supine position will have a mechanical compression from the fetus on the umbilical cord resulting in fetoplacental insufficiency and is hence avoided. Patient is therefore made to lie in left lateral position till surgery Catheerisation is done and IV fluids are given routinely prior to surgery Oxygen inhalation is given for maintaining adequate oxygen supply to the already compromised fetus.